Which of the following features is NOT seen in papillary carcinoma thyroid?
1. Papillary structure usually complex with a fibrovascular core
2. Optically clear nuclei with nuclear overlapping
3. Nuclear pseudoinclusions and nuclear grooves
4. Tumor cell immunopositivity for calcitonin

Correct answer: 4. Tumor cell immunopositivity for calcitonin

Explanation: Tumor cell immunopositivity for calcitonin